Which of the following is the most common site for syphilitic aneurysm
1. Descending aorta
2. Ascending aorta
3. Internal carotid artery
4. External carotid artery

Correct answer: 2. Ascending aorta

Explanation: Syphilitic aneurysm most frequently occurs in ascending aorta. Syphilitic aneurysm occurs in tertiary stage of syphilis.